CT SCAN was Invented By?
1. W.C. Roentgen
2. Godfrey Hounsfield
3. Henry Becquerel
4. Charles Dotter

Correct answer: 2. Godfrey Hounsfield

Explanation: Sir Godfrey Hounsfield Invented CT SCAN/CAT SCAN/Computerised Axial Tomography in the year 1972. Sir Godfrey Hounsfield and Allan Cormack were awarded Nobel Prize for this Invention in 1979. SIR GODFREY HOUNSEFIELD